Concealed puncture wounds are seen over the following regions except
1. Nape of neck
2. Inner canthus of eye
3. Wrist
4. Vagina

Correct answer: 3. Wrist

Explanation: CONCEALED PUNCTURED WOUNDS: Puncture wounds on the concealed parts of body Sites: Nostrils, fontanelles, inner canthus of eyes, axilla, vagina, rectum and the nape of the neck. Fatal penetrating injuries without leaving any visible external marks or bleeding. are caused by cylinderical weapons/instruments eg. ice pics etc